True about right atrium is :
1. Auricle lies superolaterally
2. Related to central tendon of diaphragm at Tio level
3. Coronary sinus lies between fossa ovalis and IVC
4. SVC opening is gaurded by endocardial valve

Correct answer: 3. Coronary sinus lies between fossa ovalis and IVC

Explanation: Coronary sinus lies between fossa ovalis and IVC